Not associated with coal tar
1. Bladder cancer
2. Skin cancer
3. Lung cancer
4. Leukemia

Correct answer: 4. Leukemia

Explanation: (D) Leukaemia# Occupational exposure to coal tar or coal-tar pitch is associated with an increased risk of skin cancer.> Other types of cancer, including lung, bladder, kidney, and digestive tract cancer, have also been linked to occupational exposure to coal tar and coal-tar pitch.